Which of the following is the most common gene delivery system for 'In-vivo' gene therapy?
1. Micro injection
2. Lipofection
3. Adeno viral vectors
4. Electroporation

Correct answer: 3. Adeno viral vectors

Explanation: Adenovirus in gene therapy: ds DNA virus Replication deficient Used in In Vivo approach gene therapy As vaccines, For cancer therapy Advantages: Remain as an episome (extrachromosomal DNA) So doesn't integrate into the genome. (no chance of insertional mutagenesis) The maximum size of the insert by the adenoviral vector is 36 kb.